Causes of atonic PPH are following except :
1. Fibroid
2. Multiple pregnancy
3. Multiparity
4. Preeclamptic

Correct answer: 4. Preeclamptic

Explanation: Preeclamptic